Ghons focus is seen in?
1. Amoebiasis
2. Lepromatous Leprosy
3. Primary Tuberculosis
4. Syphilis

Correct answer: 3. Primary Tuberculosis

Explanation: Ans. is 'c' i.e., Primary tuberculosis * Ghon's focus is one of the component of Ghon's complex (primary complex), which is the characteristic lesion of primary pulmonary tuberculosis.* Inhaled tubercule bacilli implanted in the distal air spaces of the lower part of upper lobe or upper part of the lower lobe, close to the pleura. This area is about 1 to 1.5 cm with caseating necrosis known as Ghon's focus.* Primary complex or Ghon's complex of tuberculosis consists of 3 components.i) Ghon's focus.ii) Draining lymphaticsiii) Caseating hilar lymphnode